Amount of reduction in dental caries achieved by
dentifrices is:
1. 20-35%
2. 35-40%
3. 40-50%
4. 50-60%

Correct answer: 1. 20-35%